Firm warty vegetations along the line of apposition of heart valves is present in -
1. NBTE
2. Bacterial endocarditis
3. Rheumatic heart disease
4. Libman Sach's endocarditis

Correct answer: 3. Rheumatic heart disease

Explanation: Ans. is 'c' i.e., Rheumatic heart disease